The drug NOT used in acute asthma is -
1. Salbutamol
2. Ipratropium
3. Monteleukast
4. Hydrocortisone

Correct answer: 3. Monteleukast

Explanation: Ans. is 'c' i.e., Monteleukast o Monteleukast and zafirleukast are indicated for prophylactic therapy of mild to moderate asthma as an alternative to inhaled corticosteroids. However they are not used to terminate acute attack of asthma.o b2-agonists used in AsthmaShort acting - Salbutamol, terbutalineLong acting - Salmeterol, formoterolo Bamhuteroi is a prodrug of terbutaline. It is slowly hydrolysed by pseudocholineterase.o Short acting b2,-agonists produce bronchodilatation within 5 min and action lasts for 2-6 hrs - are used to abort and terminate acute asthma, but are not suitable for prophylaxis.o Salmeterol is delayed acting, can be used for prophylaxis only, while formoterol is fast acting and long acting can be used for both prophylaxis and acute attack.Salbutamole & Terbutaline-Only for acute attackSalmeterol-Only for prophylaxisFormoterol-Both for prophylaxis and acute attacko Long acting b2 -agonists (salmeterol & formoteroi) are superior to short acting b2-agonists (salbutamol & terbutaline), and equivalent to inhaled anticholinergics in COPD.Treatment of acute asthmao The only drugs effective for the treatment of acute attack of asthma are bronchodilators (b2-receptor agonists, anticholinergics, and methylxanthines).1. Mild attackso For patients with mild attack inhalation of a short acting /3, receptor agonist, e.g. salbutamol (albuterol) is used.o An inhaled anticholinergic, e.g. ipratropium may be added if there is no satisfactory response to b2,- agonists alone.o In patients who are refractory to inhaled therapies, i.v. aminophylline (theophylline) may be effective.2. Severe attackso Oxygen pluso Continuous administration of aerosolized salbutamol (albuterol) pluso Systemic steroids, e.g. methylprednisolone, hydrocortisone.Treatment, of chronic asthmao A step wise approach is used ;o For patients with mild, intermittant asthma, a short acting b2 agonist is used as required for symptom relief,o If asthmatic symptoms occur frequently or if significant airflow obustruction persists despite bronchodilatation therapy, low doses of inhaled corticosteroids should be started. Sodium cromoglicate or nedocromil or leukotriene antagonists are alternatives.o In patients whose symptoms are inadequacy controlled by a standard dose of an inhaled corticosteroid, a long acting b2-receptor agonist (salmeterol, formoteroi) is added to low doses of inhaled corticosteroids,o If there is no improvement, high doses of glucocorticoids are used with long acting b2, agonist or theophylline.Note -o The drug of choice for acute asthma - short acting b2 agonist.o The drug of choice for chronic asthma - Inhaled corticosteroids.o Inhaled corticosteroids are used only in chronic asthma, while systemic corticosteroids can be used in both acute and chronic asthma.